Which of the following enzymes is common to the synthesis of cholesterol and ketone bodies:
1. HMG -Co-A Reductase
2. HMG-Co-A Lyase
3. HMG-Co-A Synthase
4. Thiokinase

Correct answer: 3. HMG-Co-A Synthase

Explanation: C i.e. HMG-Co-A Synthase